First incisor to erupt is
1. Lower central
2. Upper central
3. Lower lateral
4. Upper lateral

Correct answer: 1. Lower central

Explanation: Ans. is 'a' i.e., Lower central * First temporary tooth to upper (in primary dentition) is lower central incisors and last temporary tooth to erupt is 2nd molar. The sequence of eruption is lower central incisor > upper central incisor > upper lateral incisor >lower lateral incisor > 1st molar > Canine > 2nd molar. Therefore eurption of temporary teeth is completed by eruption of 2nd molar at 25 months (2 years).* First permanent tooth to erupt (in secondary dentition) is 1st molar and last to erupt is 3rd molar. The sequence of eruption is 1st molar > central incisor > lateral incisor > 1st premolar > 2nd premolar > canine > 2nd molar > 3rd molar. Eruption of permanent teeth is completed by eruption of 3rd molar between 17-25 years.